Which type of pulmonary TB is most likely to give sputum positive -
1. Fibronodular
2. Pleural effusion
3. Cavitary
4. None

Correct answer: 3. Cavitary

Explanation: Ans. is 'c' i.e., Cavitary "Sputum smears are usually positive in patients with laryngeal TB, endobronchial TB and cavitary pulmonary- TB"-- Kelley's"Patients with cavitary pulmonary TB have high bacterial load in their sputum " --Internet